SIDA functions for
1. Leprosy
2. TB
3. Blindness
4. Agriculture

Correct answer: 2. TB

Explanation: Swedish International Development Agency (SIDA) is assisting the National tuberculosis control programme. SIDA assistance is usually spent on procurement of supplies like X-ray unit, microscopes and anti-tuberculosis drugs.Park 23e pg: 924